Accessory canals result from
1. Defects in cementogenesis
2. Dividing epithelial bridges
3. Break in Hertwig's root sheath
4. Adherent epithelial rests

Correct answer: 3. Break in Hertwig's root sheath

Explanation: Accessory canals may occur either due to loss of root sheath cells or due to inclusion of blood vessels during root development.